Superior parathyroid glands are derived from
1. 1st branchial pouch
2. 3rd branchial pouch
3. 4th branchial pouch
4. 5th branchial pouch

Correct answer: 3. 4th branchial pouch

Explanation: HUMAN EMBRYOLOGY-INDERBIR SINGH TENTH EDITION-PAGE NO:136 Department of parathyroid glands Parathyroid glands are derived as follows: The inferior parathyroid glands develop from endoderm of the third pharyngeal pouch The superior parathyroid glands develop from the endoderm of the fourth pharyngeal pouch